Staphylococcus secretes all except
1. Lipase
2. Cellulose
3. Coagulase
4. Lecithinase

Correct answer: 2. Cellulose

Explanation: The extracellular enzymes of Staphylococcus include: Coagulase Lipid hydrolases or lipases Hyaluronidase Nuclease. Staphylococcus also secrete lecithinase (a type of phospholipase) that act on lecithin. Ref: Textbook of Microbiology; Ananthanarayanan and Panicker; 10th Edition; Page No: 203